Temperature for Plasma Pyrolysis:-
1. 700deg C
2. 1000deg C
3. 1200deg C
4. 1500deg C

Correct answer: 3. 1200deg C

Explanation: Temperatures: - Dry Heat - > 185deg C - Plasma Pyrolysis - > 1200 deg C - Autoclaving - In India = 121deg C - Hydroclaving - 121 deg C/ 132deg C - Incineration - > 1200 deg C